NOT a feature of Fuch's Heterochromic Uveitis among the following is
1. Seen in females
2. Rubeosis iridis
3. Posterior Synichae
4. Stellate Keratic precipitate

Correct answer: 3. Posterior Synichae

Explanation: Posterior Synichae is always absent in Fuch's Heterochromic Uveitis.